Which of the following statements is false about Sacral Meningomyelocele -
1. Spasticity of the lower limbs is seen
2. Hydrocephalus is seen
3. Bladder incontinence may be seen
4. Lax anal sphincter is present

Correct answer: 1. Spasticity of the lower limbs is seen

Explanation: Ans. is 'a' i.e., Spasticity of the Lower Limbs is seen Meningomvelocele o Meningomyelocele is a condition where normally developed neural tissue along with its covering protrudes in the midline through a defect in mesodermal elements. o The neural tissue may be the spinal cord or the Cauda equina. o In a sacral meningomyelocele, however, the neural tissue involved would be the cauda equina, the involvement of which would results in a lower neuron picture and not an upper motor neuron picture (ie. as in the involvement of spinal cord). Spasticity would thus not be a feature of Sacral Meningomyelocele. Spasticity is a feature of U.M.N. lesion and would thus be a feature of meningomyelocele occurring higher up, in the lumbar as dorsal region, where neural tissue involvement is that of spinal cord. (Note: Cauda equina are nothing but spinal nerves which have left the spinal cord, but yet have to leave the vertebral column, ie. they are lower motor neurons) Bladder & Bowel incontinence may be seen. Hydrocephalus is an important and frequently associated finding with meningomyelocele.